A 40-year-old man is admitted to the hospital for severe constant abdominal pain with nausea and vomiting for 1 day with the pain radiating to the back. Past medical history is insignificant. He drinks one or two 6-packs of beer each weekend. He denies having diarrhea or fever. The serum amylase and lipase levels are markedly elevated. What is the anatomical location of the structure involved?
1. Completely Intraperitoneal
2. Partially intraperitoneal
3. Sub peritoneal
4. Retroperitoneal

Correct answer: 4. Retroperitoneal

Explanation: The pancreas is a retroperitoneal organ, posterior to the stomach and lesser sac, partly surrounded by the duodenum. Noninfectious inflammation of the pancreas is most commonly caused by alcohol abuse or gallstones. The inflammation is secondary to autodigestion of the pancreatic tissue by the exocrine secretions. Marked vomiting is typical, and serum amylase or lipase levels are elevated.